8.Mikulicz cell and russel bodies are characteristic of:
1. Rhinoscleroma
2. Rhinosporidiosis
3. Plasma cell disorder
4. Lethal midline granuloma

Correct answer: 1. Rhinoscleroma

Explanation: Rhinoscleroma: chronic granulomatous disease caused by gram negative bacteria klebsiella rhinoscleromatis. Mikulicz or foam cells and russell bodies found in plasma cells. Ref.Dhingra 6/e p 156